Half-Life of I-131 is
1. 8 days
2. 13 hours
3. 2-3 hours
4. 28 years

Correct answer: 1. 8 days

Explanation: I-131 - 8 days
I-123 - 13 hours
I-132 -2-3 hours